The process of removal of supporting bone to produce a positive gingival or osseous architecture is called as:
1. Spheroidizing
2. Scribing
3. Osteoplasty
4. None

Correct answer: 1. Spheroidizing

Explanation: Scribing: It is an osseous resection technique, where high speed rotary instruments outline the radicular bone, which has to be removed by hand instrumentation.
Spheroidizing (or parabolizing): It is the removal of supporting bone to produce a positive gingival or osseous architecture.